Most common nerve injured in ligation of inferior thyroid artery
1. Recurrent laryngeal nerve
2. Facial nerve
3. Mandibular nerve
4. Audirory nerve

Correct answer: 1. Recurrent laryngeal nerve

Explanation: Recurrent laryngeal nerve may pass anterior, posterior or through the branches of the artery and care is taken to preserve it. RLN is injured near the ligament of Berry when cautery or artery forceps is used indiscriminately while cutting the ligament of Berry to free the thyroid lobe. Ref: Dhingra 7e pg 382.